Substrate concentration at which Vi is half the maximal velocity attainable at a particular concentration of enzyme is called as
1. Vmax
2. Vmax/2
3. Km
4. Km/2

Correct answer: 3. Km

Explanation: Rate of a reaction or velocity (V) is directly proportional to the enzyme concentration when sufficient substrate is present. The velocity of the reaction is increased proportionately with the concentration of enzyme, provided substrate concentration is unlimited ii. Hence, this property is made use of in determining the level of a particular enzyme in plasma, serum or tissues. iii. Known volume of serum is incubated with substrate for a fixed time, the reaction is stopped and product is quantitated (endpoint method). Since the product formed will be proportional to the enzyme concentration, the latter could be assayed.Ref: DM Vasudevan, Page no: 48